All of the following stem cell populations are found within the bone marrow, except -
1. Endothelial Progenitor cells
2. Myoblast Progenitor cells
3. Mesenchymal stem cells
4. Hematopoietic stem cells

Correct answer: 2. Myoblast Progenitor cells

Explanation: Ans. (b) Myoblast Progenitor cells(Ref: Robbins 9th/pg 580-581)Endothelial Progenitor cells, Mesenchymal stem cells and Hematopoetic stem cells are found in the bone marrow.Mesenchymal stem cells are multipotent stromal cells constituting 0.001-0.01% of bone marrow cells.